Which is not true about PBC?
1. No increase in risk of hepatocellular carcinoma
2. Often asymptomatic
3. Elevated 1gM
4. Positive antimitochondrial antibody

Correct answer: 1. No increase in risk of hepatocellular carcinoma

Explanation: .PBC(primary biliary cirrhosis) is a chronic & slowly progressive cholestatic disease of autoimmune etiology characterised by injury of the intrahepatic bile ducts that may eventually lead to liver failure.The risk for HCC is increased in PBC.So screening for it can be done by ultrasound scan every 6 months. Most of the patients with PBC(>90%) have antimitochondrial Ig M antibodies against pyruvate dehydrogenase complex(PDC-E2).